Instantaneous rigor is seen in-
1. Cadaveric spasm
2. Rigor mortis
3. Cold stiffening
4. Gas stiffening

Correct answer: 1. Cadaveric spasm

Explanation: Cadaveric spasm is also referred as to instantaneous rigor.